An outbreak of streptococcal pharyngitis has occured in a remote village. In order to carry out the epidemiological investigations of the outbreak it is necessary to perform the culture of the throat swab of the patients suffering from the disease. The transport media of choice would be -
1. Salt mannitol media
2. Pike's media
3. Stuart's media
4. Cary Blair media

Correct answer: 2. Pike's media